Pre-auricular sinus
1. Is always unilateral
2. Usually painful
3. May be in close proximity to greater auricular nerve
4. Recurrence after excision is common

Correct answer: 4. Recurrence after excision is common